intrensic factor is secreated by which cells of stomach ?
1. mucous cells
2. parital cells
3. cheif cells
4. goblet cells

Correct answer: 2. parital cells

Explanation: Types of gastric glands and cells * Gastric cells 1. mucous neck cells (secrete mucus) 2. surface epithelial cells (secrete mucus) 3. chief cells (secrete pepsinogen) 4. G cells (secrete gastrin -in antrum) 5. parietal (oxyntic) cells (secrete HCI and intrinsic factor) 6. enterochromaffin-like-cells (ECL) secrete histamine. * Gastric glands 1. The oxyntic glands (80% of gastric glands)-body and fundus 2. Pyloric glands (20% of gastric glands)- antrum region Duodenum ref : vishram singh / BD CHAURASIA